A 50-year-old male with type 2 diabetes mellitus is found to have 24-hr urinary albumin of 250 mg. Which of the following drugs may be used to retard the progression of the renal disease -
1. Hydrochlorthiazide
2. Enalapril
3. Amiloride
4. Aspirin

Correct answer: 2. Enalapril